Which fattyacid present in breast milk plays an important role in growth and CNS development?
1. Palmitic acid
2. Docosahexaenoic acid
3. Linoleic acid
4. Oleic acid

Correct answer: 2. Docosahexaenoic acid

Explanation: Docosahexenoic acid (DHA) present in breast milk plays an important role in growth and CNS development It is important for vision, cognitive development and motor systems, cell differentiation, development of active synapses in the brain, and inflammatory response. Ref: Online resources: NCBI-